Failure to pass meconium within 48 hrs of birth in a newborn with no obvious external abnormality should lead to the suspicion of-
1. Anal atresia
2. Congenital pouch colon
3. Congenital aganglinosis
4. Meconium ileus

Correct answer: 3. Congenital aganglinosis

Explanation: Ans. is 'c' i.e., Congenital aganglinosis o Read what Nelson says about Hirschsprung's disease (Congenital aganglinosis). o "Ninety nine percent of full term infants pass meconium within 48hrs of birth. Hirschsprung disease should be suspected in any full term infant with delayed passage of stool".